Which of following Wibrios' is most commonly associated with ear infections -
1. V. Alginolyticus
2. V. Parahemolyticus
3. V. Vulnifcus
4. Vibrio fluvialis

Correct answer: 1. V. Alginolyticus

Explanation: Ans. is 'a' i.e., V. Alginolyticus Vibrio Alginolyticus is an opportunistic pathogen (Halaphilic vibrio) that is primarily associated with wound and ear infections and occasionally eye infections. Features of Selected Noncholera Vibrios Organism Vehicle or Activity Host at Risk Syndrome V parahaemolyticus Shellfish, Seawater Seawater Normal Normal Gastroenteritis Wound infection Non- 01 V cholerae Shellfish, travel Seawater Normal Normal Gastroenteritis Wound infection otitis media V vulnificus Shellfish Immunosuppressed cellulitis Sepsis, secondary Seawater Normal Wound infection cellulitis V. alginolyticus Seawater Seawater Normal Burned, other immunosuppressed Wound infection cellulitis, otitis Sepsis See in above table, otitis media is caused by Non-01 V. cholerae and V. alginolyticus.